Orotic aciduria is due to deficiency of
1. Decarboxylase
2. Tyrosinase
3. Isomerase
4. Homogentisate oxidase

Correct answer: 1. Decarboxylase

Explanation: Orotic aciduria an autosomal recessive disorder, can be caused by a deficiency in the enzyme UMPS, a bifunctional protein that includes the enzyme activities of orotate phosphoribosyltransferase and orotidine 5'-phosphate decarboxylase.